Classical triad of Budd-Chiari syndrome:
1. Fever, jaundice, abdominal pain
2. Fever, ascites, jaundice
3. Hepatomegaly, abdominal pain, ascites
4. Abdominal pain, jaundice, Hepatomegaly

Correct answer: 3. Hepatomegaly, abdominal pain, ascites

Explanation: BUDD-CHIARI SYNDROME TRIAD- Ascites + Hepatomegaly + Abdominal pain . Treatment Side to Side Porto-caval Shunt is the most effective therapy.